Plica triangularis is present in -
1. Antero-inferior part of tonsil
2. Dorsum of tongue
3. Inlet of larynx
4. None

Correct answer: 1. Antero-inferior part of tonsil

Explanation: Ans. is 'a' i.e., Antero-inferior part of tonsil o The plica triangularis is a triangular vestigial fold that of mucous membrane covering the anteroinferior part of the tonsil.o The plica semilunaris is a semilunar fold that may cross the upper part of the tonsillar sinus,o For tonsil see explanation 3 of session 1.